Which of the following is an absolute contraindication to adrenal steroid therapy?
1. Severe hypertension
2. Osteoporosis
3. Diabetes mellitus
4. Cushing's syndrome

Correct answer: 4. Cushing's syndrome

Explanation: Cushing's syndrome is an absolute contraindication to corticosteroid therapy. Relative contraindications includes peptic ulcer, hypertension, hypertension with congestive heart failure, diabetes mellitus, herpes simplex infection, osteoporosis and glaucoma. Ref: Textbook of Pharmacology By Seth 3rd edition page 61